False statement regarding DIC is -
1. Thrombocytopenia
2. Decreased fibnrinogen
3. Decreased PTT
4. Increased PT

Correct answer: 3. Decreased PTT